Which of the following nerves are injured In submandibular gland excision except, may be affected except
1. Lingual nerve
2. Hypoglossal nerve
3. Marginal mandibular division of facial nerve
4. Glossopharyngeal nerve

Correct answer: 4. Glossopharyngeal nerve

Explanation: Lingual , hypoglossal nerves are injured if gland is adherent. (deep).
Cervical and mandibular division of facial nerve are injured (superficial).